Ebstein's anomaly is seen with intake of –
1. Mercury
2. Copper
3. Lithium
4. Lead

Correct answer: 3. Lithium

Explanation: Teratogenic cardiovascular defects of lithium → Ebstein's anomaly, Tricuspid atresia

Etiology of CHD

The etiology of the majority of CHDs is not known.
In less than 10% of cases, the cause and effect relationship has been established.
Both environmental and hereditary factors play a role in the etiology of CHDs.

1. Hereditary factors

 A higher incidence of CHD in siblings suggests heredity as an important factor.
The strongest familial tendency is known in AST associated with bony abnormalities (Holt oram syndrome)
Other hereditary conditions have been mentioned in subsequent explanations.

2. Environmental factors

Those who have an inherited tendency, develop CHD due to unfavourable environmental factors
Of these the most well known is high altitude → There is a higher incidence of PDA and ASD in children born at a high altitude.
Other important environmental factors are : -